A 35 - year old male who had chronic duodenal ulcer for the last six years presents with worsening of symtomps loss of periodicity of symptoms, pain on rising in the morning sense of epigastric bloating and post - prandial vomiting. The most likely cause of the worsening of his symptoms is the development of ?
1. Posterior penetration
2. Gastric outlet obstruction
3. Carcinoma
4. Pancreatitis

Correct answer: 2. Gastric outlet obstruction

Explanation: Ans. is 'b' i.e., Gastric outlet obstruction